Nerve supply of pronator teres ?
1. Ulnar nerve
2. Median nerve
3. Posterior interosseous
4. Radial nerve

Correct answer: 2. Median nerve

Explanation: Median nerve